Patients suffering from multidrug resistant tuberculosis can be treated with all the following durgs except -
1. Tobramycin
2. Amikacin
3. Ciprofoxacin
4. Clarithromycin

Correct answer: 1. Tobramycin

Explanation: Ans. is 'a' i.e., Tobramycin Tobramycin is not an antitubercular aminoglycoside.